Recommended iodine dose in pregnancy is
1. 75mcg
2. 100mcg
3. 150mcg
4. 250mcg

Correct answer: 4. 250mcg

Explanation: The daily requirement of iodine for adults is placed at 150micrograms. The recommendation of WHO of 250mg per day for iodine during pregnancy have also been adopted. This amount is normally supplied by well-balanced diet and drinking water except in regions where food and water is deficient in iodineRef: Park; 23rd ed; Pg 624